The earliest sign of uteroplacental insufficiency on Doppler is?
1. Diastolic notch
2. Reversal of diastolic flow
3. Blunting of systolic flow
4. Absent mid diastolic flow

Correct answer: 1. Diastolic notch

Explanation: Ans AThe signs of uteroplacental insufficiency in increasing order of severity are early/pre diastolic notch, absent diastolic flow and lastly reversal of flow during diastole.